ABCDE principle is used for which malignancy?
1. SCC
2. BCC
3. Malignant melanoma
4. Verrucous carcinoma

Correct answer: 3. Malignant melanoma

Explanation: Ans. Malignant melanoma(Ref: Bailey & Love's Surgery, 27th Ed; Page No-608)MnemonicDiagnosis of malignant melanoma is based on characteristics of: ABCDEAsymmetrical pigmented nodule.Border irregularity: Nodule shows scallops and notches.Color variability: This is very striking.Diameter: Size >5 mm.Elevation irregularity.Excise all doubtful lesions for histopathological examination. Histological grading using Breslow's method. Breslow's method: measures the vertical distance (in mm) from granular cell layer to the deepest part of tumor, using a microscopic micrometer.